Dogs are responsible for transmission of all the following except-
1. Hydatid disease
2. Toxoplasmosis
3. Kala-azar
4. Toxocara canis

Correct answer: 2. Toxoplasmosis